All are mesodermal origin, except:
1. Sphincter pupillae
2. Cilary muscle
3. Iris
4. Ovarian tissue

Correct answer: 1. Sphincter pupillae

Explanation: A. i.e. Sphincter pupillae